Major bacterial enzyme responsible for putrefaction?
1. Hyaluronidase
2. Lecithinase
3. Metalloproteinase
4. Collagenase

Correct answer: 2. Lecithinase

Explanation: Ans. is 'b' i.e., Lecithinase Putrefaction Produced mainly by the action of bacterial enzymes (lecithinase -- Cl. welchii) Anaerobic organism (from bowels) Causing marked hemolysis and liquefaction in blood vessels and tissue spaces, thus producing following effects Color changes : greenish discoloration in right iliac fossa abdomen --> genitalia -4 chest --> neck --> face - arms -4 legs. Superficial veins over the root of the limbs, thighs, sides of abdomen, shoulder, chest and neck are stained greenish-brown or purplish-red, marbled appearance in 36 to 48 hours (marbling). Foul-smelling and breakdown of proteins and carbohydrates. Gases produced : CO2 + NH3 + CH4 mercaptans + mercaptans (noninflammable) + H2S (inflammable). Gas bubbles cause crepitation and give spongelike feeling. Blood-stained froth from mouth and nostrils is called postmortem purge. Distension of body 36 to 48 hours Anus and uterus prolapse : 2 to 3 days PM blisters, face distroted : more than 3 days Nail, skull sutures, and hair loss : more than 5 days Skin shows slippage, comes off in glove and stocking fashion. Postmortem luminescence due to : Photobacterium fischeri bacteria and Armillaria mellea fungi.